The condition commonly involving V1 is
1. Trigeminal Neuralgia
2. Trotter’s syndrome
3. Post herpetic neuralgia
4. Hunt’s syndrome

Correct answer: 3. Post herpetic neuralgia